A patient presents with defective adduction of the hip joint and pains in the hip and knee joint. Which nerve is involved
1. Obturator nerve
2. Femoral nerve
3. Saphenous nerve
4. Sciatic nerve

Correct answer: 1. Obturator nerve

Explanation: A. i.e. Obturator nerveAdductors of thigh are mainly supplied by obturator nerveQ.A disease in hip joint may cause referred pain in knee & medial thigh because of their common nerve supply by obturator nerveQ.